Fracture of distal tibial epiphysis with anterolateral displacement is called as?
1. Pott's
2. Cotton's
3. Triplane fracture
4. Tillaux Fracture

Correct answer: 4. Tillaux Fracture

Explanation: ANSWER: (D) Tillaux FractureREF: Rockwood and Wilkins' fractures in children - Page 991, Dahnert W. Radiology Review Manual, 5th edition. Lippincott, Williams and Wilkins 2003, Wheeless' Textbook of OrthopaedicsTillaux Fracture:Salter-Harris III fracture invoking avulsion of anterolateral tibial epiphysis;occurs in older adolescents, after the middle and medial parts of epiphyseal plate has closed, but before the lateral part closes (usually 12 to 15 yrs of age);Because, this fracture occurs in adolescents with relatively mature growth plates, there is minimal potential for deformity due to growth plate injuryMechanism of Injury:External rotation force with stress placed on anterior tibiofibular ligament, causing avulsion of distal tibial epiphyseal plate anterolaterally;Further lateral rotation causes displacement of fracture;Fracture occurs after medial part of the epiphyseal plate has closed, but before the lateral part closes;Radiographs:AP and Oblique views are needed to distinguish from a triplane fractureNote that the common triplane fracture will contain a tillaux fracture in addition to the tibial physeal fracture.